TOS for penicillin resistant gonorrhoea
1. Ciprofloxacin
2. Ceftriaxone
3. Streptomycin
4. Erythromycin

Correct answer: 2. Ceftriaxone

Explanation: Complicated gonococcal infections ate treated with ceftriaxone1 g IM OD x 7 days. Or cefixime 400 mg BD X 7days. From illustrated synopsis of dermatology and sexually transmitted diseases neena khanna 5th edition page no 338